Skull consists of....bones
1. 20
2. 22
3. 24
4. 28

Correct answer: 2. 22

Explanation: B i.e. 22